True about nasopharyngeal angiofibroma are all except
1. Commonly seen in girls
2. Hormonal etiology
3. Miller's sign positive
4. Radiotherapy can be given

Correct answer: 1. Commonly seen in girls

Explanation: NASOPHARYNGEAL FIBROMA (JUVENILE NASOPHARYNGEAL ANGIOFIBROMA) CLINICAL FEATURES :- 1. Age and sex:- Tumour is seen almost exclusively in males in the age group of 10-20 years. Rarely, it may be seen in older people and females. 2. Profuse, recurrent and spontaneous epistaxis. This is the most common presentation. Patient may be markedly anaemic due to repeated blood loss. 3. Progressive nasal obstruction and denasal speech. It is due to mass in the postnasal space. 4. Conductive hearing loss and otitis media with effusion. It occur due to obstruction of eustachian tube. 5. Mass in the nasopharynx. Tumour is sessile, lobulated or smooth and obstructs one or both choanae. It is pink or purplish in colour. Consistency is firm but digital palpation should never be done until at the time of operation. Ref:- Dhingra; pg num:-246